In fracture of penis involving rupture of tunica albuginea with intact Busch's fascia following would be noted clinically
1. Hematoma involving only shaft of penis
2. Hematoma involving scrotum & perinea) region
3. Hematoma in penis, scrotum & abdominal wall
4. Hematoma in penis, scrotum & thigh

Correct answer: 1. Hematoma involving only shaft of penis

Explanation: A i.e. Hematoma involving only the shaft of penis Penis consists of 3 cylindrical bodies of erectile cavernous tissue: the paired corpora cavernous dorsally and single corpora spongiosa containing spongy urethra ventrally. It is important to note that penis is erect in anatomical position, so when the penis is flaccid, its dorsum is directed anteriorly. Each cavernous body has an outer fibrous capsule or covering known as tunica albuginea. Superficial to tunica is deep (Buck's) fascia of penis, which is continuation of deep perineal fascia that forms a strong membranous covering for corpora cavernosa & spongiosa, binding them together.Penile fracture is disruption of tunica albuginea with rupture of corpus cavernosum, usually during sexual intercourse when erect penis strikes any hard object. It presents with popping sound (or tearing tunica) followed by immediate loss of erection, discolouration, swelling and deviation of phallus to the side opposite to tunical tear.